About peptidyl transferase true is
1. Used in elongation & cause attachment of peptide chain to A-site of t-RNA
2. Used in elongation & cause attachment of peptide chain to P-site
3. Used in initiation and cause 43S complex formation
4. Used in initiation and cause 48S complex formation

Correct answer: 1. Used in elongation & cause attachment of peptide chain to A-site of t-RNA